Number of ATP formed per turn of citric acid cycle is
1. 5
2. 7
3. 10
4. 15

Correct answer: 3. 10

Explanation: TEN ATP ARE FORMED PER TURN OF THE CITRIC ACID CYCLE As a result of oxidations catalyzed by the dehydrogenases of the citric acid cycle, three molecules of NADH and one of FADH2 are produced for each molecule of acetyl-CoA catabolized in one turn of the cycle. These reducing equivalents are transferred to the respiratory chain, where reoxidation of each NADH results in the formation of ~2.5 ATP, and of FADH2, ~1.5 ATP. In addition, 1 ATP (or GTP) is formed by substrate-level phosphorylation catalyzed by succinate thiokinase. Reference: Harper; 30th edition; Page no: 164